A 40 year old patient with a single kidney presents with a solitary exophytic mass of 4 cm localized at its lower pole. Which amongst the following is the best recommended management option?
1. Partial Nephrectomy
2. Radical Nephrectomy
3. Radical Nephrectomy with dialysis
4. Radical Nephrectomy with immediate Renal Transplantation

Correct answer: 1. Partial Nephrectomy

Explanation: Partial Nephrectomy is the surgical treatment of choice for a small localized tumor in patients with a solitary kidney. Ref: Minimally Invasive Cancer Management By Frederick L. Greene, B. Todd Heniford, Page 265; Glenn's Urologic Surgery By Sam D. Graham, Thomas E. Keane, Page 6